Which of the following does not require copper for action?
1. Tyrosinase
2. Superoxide dismutase
3. Carbonic anhydrase
4. Ceruloplasmin

Correct answer: 3. Carbonic anhydrase

Explanation: More than 300 enzymes are zinc-dependent. Some important ones are carboxypeptidase, carbonic anhydrase, alkaline phosphatase, lactate dehydrogenase, alcohol dehydrogenase and glutamate dehydrogenase. RNA polymerase contains zinc and so it is required for protein biosynthesis. Extracellular superoxide dismutase is zinc-dependent and so, zinc has antioxidant activity.Ref: DM Vasudevan, page no: 429